A 3-year-old child reports with fever. He has reddish
yellow ulcers of the facial mucosa and tongue. He is most
probably suffering from:
1. Erosive lichen planus
2. Acute herpetic gingivostomatitis
3. ANUG
4. Leukemia

Correct answer: 2. Acute herpetic gingivostomatitis